A patient has a miotic pupil, IOP = 25, normal anterior chamber, hazy cornea and a shallow anterior chamber in fellow eye. Diagnosis is:
1. Acute anterior uveitis
2. Acute angle closure glaucoma
3. Acute open angle glaucoma
4. Senile cataract

Correct answer: 1. Acute anterior uveitis

Explanation: In this scenario patient present with signs of acute anterior uveitis, which is an inflammation of iris and ciliary body. Ref: Comprehensive Ophthalmology By A K Khurana, 4th Edition, Pages 141-44 ; Textbook of Ophthalmology By Neema, 3rd Edition, Page 160